Available denture bearing area for edentulous maxilla is
1. 20 cm2
2. 22 cm2
3. 25 cm2
4. 30 cm2

Correct answer: 2. 22 cm2

Explanation: Researchers have computed the available denture bearing area to be 22.96 cm2  for maxilla and 12.25 cm2  for mandible.